DNA covering material in a virus is called as -
1. Capsomere
2. Capsid
3. Nucleocapsid
4. Envelope

Correct answer: 2. Capsid

Explanation: Structure of virus

The extracellular infectious virus particle is called as the virion.
The virion consists of a nucleic acid surrounded by a protein coat, the capsid.
The capsid with the enclosed nucleic acid is known as the nucleocapsid.
Two kinds of symmetry are encountered in the capsid

a) Icosahedral (cubical)
b)Helical

Virion may be enveloped or nonenveloped (naked)
The envelope is lipoprotein in nature, the lipid is derived from the host cell, while protein is virus-coded.
Enveloped viruses are susceptible to the action of lipid solvents like ether, chloroform and bile salts.